Weber Fechner law is related with
1. Amplitude
2. Surface area
3. Number of sensory fibre involvement
4. Stimulus discrimination

Correct answer: 4. Stimulus discrimination

Explanation: The magnitude of the sensation felt is proportional to the log of the intensity of the stimulus strength.